Follow ing block dissection of neck person is unable to move his head upward and to side ways. Mostly because of damage to -
1. Glossophryngeal n
2. Vagal n
3. Spinal part of accessory n
4. Cranial accessory nerve

Correct answer: 3. Spinal part of accessory n

Explanation: Ans- is 'c' i.e., Spinal part of accessory no Spinal accessory ner\!e palsy is common following neck dissection surgery or lymph node excision, blunt or penetrating trauma to the lateral neck region. and cervical stretch injuries.o This nerve supplies the sternocleidomastoid and trapezius muscles, which have the following functions:Rotation of head away from the side of the contracting sternocleidomastoid muscle.Jilting of the head toward the contracting sternocleidomastoid muscle.Flexion of the neck by both sternocleidomastoid muscles.Elevation of the shoulder by the trapezius.5) Drawing the head back so the face is upward by the trapezius muscles.With weakness or paralysis these functions are decreased or absent.